All of the following are Digastric muscles, except?
1. Muscle fibers in the ligament of Treitz
2. Omohyoid
3. Occipitofrontalis
4. Sternocleidomastoid

Correct answer: 4. Sternocleidomastoid

Explanation: Digastric muscles refers to muscles with two bellies. Sternocleidomastoid has two heads but it does not have two bellies and hence this muscle cannot be termed as a digastric muscle.